CSF glucose level is
1. Half the plasma glucose
2. 2/3 plasma glucose
3. 1/3 plasma glucose
4. Same as plasma glucose

Correct answer: 2. 2/3 plasma glucose

Explanation: Answer is B (2/3 of plasma glucose):